A 45 years female complains of lower abdominal pain and vaginal discharge. On examination there is cervicitis along with a mucopurulent cervical discharge. The gram smear of the discharge shows presence of abundant pus cells but no bacteria. The best approach to isolates the possible causative agent would be:
1. Culture on chocolate agar supplemented with Haemin
2. Culture on McCoy cells
3. Culture on a bilayer human blood agar
4. Culture on vero cell lines

Correct answer: 2. Culture on McCoy cells

Explanation: Ans. is 'b' i.e., Culture on McCoy cellsRef: Harrison, 19th/e, p. 1165 and Ananthanarayan, 9th/e, p. 415Chlamydiae are usually grown on McCoy cell line and HeLa cell line.Genital chlamydiasis is suspected if gram stained smear of urogenital exudates shows significant number of neutrophils. > 4/oil immersion field in urethritis, > 30 in cervicitis in the absence of gonococcal bacteria.